In a school, 1 urinal and 1 latrine should be made per ___ and ___ students respectively:-
1. 60,100
2. 40,100
3. 60,90
4. 40,90

Correct answer: 1. 60,100

Explanation: HEALTHFUL SCHOOL ENVIRONMENT:- 1 urinal/60 students 1 latrine/100 students. 1 Class room for max 40 students Per capital space > 10 ft2 Doors + Windows > 25% of floor area Desks should be of Minus type.